10 year old child has violaceous papule and pterygium of nails. The diagnosis is –
1. Psoriasis
2. Pemphigus
3. Pemphigoid
4. Lichen planus

Correct answer: 4. Lichen planus